Genu valgum deformity is seen in all except -
1. Rickets
2. Bone Dysplasia
3. Rheumatoid arthritis
4. Medial compartment osteoarthritis

Correct answer: 4. Medial compartment osteoarthritis

Explanation: Genu valgum is the outward deviation of the longitudinal axes of both tibia & femur .apex of the curve or angulations of the knee are medial. Causes can be * unilateral- trauma ,osteomyelitis ,tumor *bilateral - physiological : disappear by 4 years, - pathological : congenital disorders, idiopathic, developmental disorders (e.g epiphyseal dysplasia ) ,endocrine disorder like thyroid, metabolic disorder e.g rickets ,paralytic disorder , traumatic disorder , infective disorder, degenerative disorder,inflammatory disorder( e.g rheumatoid arthritis) REF:textbook of orthopedics, John ebnezer, 4th edition, pg.no.418